Treatment of partner is required in all infections except-a) Candidab) Herpesc) Trichomonasd) Gardnerella
1. b
2. c
3. ac
4. ad

Correct answer: 4. ad

Explanation: Treatment of sexual partner is required for:

Chlamydia trachomatis
Neisseria gonorrhoea
Trichomonas vaginalis
Herpes simplex virus
Mycoplasma genitalium.

Treatment of sexual partner is not required:

Vulvovaginal Candidiasis: Usually treatment of sexual partner is not required, topical treatment if candidal dermatitis of penis is detected
Gardnerella vaginalis: No treatment is required.